Displacement of a root into the maxillary sinus
during extraction is most likely to happen during the extraction of the maxillary
1. Canine
2. Deciduous first molar
3. First molar
4. Second molar

Correct answer: 3. First molar